Renauld Braud phenomenon is seen in -
1. Candida albicans
2. Candida pscitasi
3. Histoplasma
4. Cryptococcus

Correct answer: 1. Candida albicans

Explanation: Ans. is 'a' i.e., Candida albicans A rapid method of identifying C. albicans is based on its ability to form germ tubes within two hours when incubated in human serum at 37degC --> Reynolds - Braude phenomenon (Also known as germ tube test)